An elederly male presented with headache, fever and hemiparasis of right side. On further examination and investigation a diagnosis of brain abscess was made. Which of the following antibacterial/ antibacterials is effective in this patient
1. Gentamycin
2. Doxycycline
3. Streptomycin
4. A combination of Cephalosporin and Metronidazole

Correct answer: 4. A combination of Cephalosporin and Metronidazole

Explanation: A 6-week combination of third-generation cephalosporin and metronidazole cures most cases of community-acquired brain abscess in immunocompetent patients. Coverage for streptococci can be attained by a high dose of penicillin G or a third-generation cephalosporin (eg, cefotaxime, ceftriaxone Ref Harrison20th edition pg 2234